Gold standard for reflux esophagitis is -
1. Manometry
2. Barium swallow
3. 24 hours pH study
4. X-ray abdomen

Correct answer: 3. 24 hours pH study